Following delivery, uterine fundus lies about:
1. 10 1/2 " above pubic symphysis
2. 8 1/2 " above pubic symphysis
3. 5 1/2 " above pubic symphysis
4. 2 1/2 " above pubic symphysis

Correct answer: 3. 5 1/2 " above pubic symphysis

Explanation: Ans. C. 5 1/2 above pubic symphysisFollowing delivery, the fundus lies about 13.5cm(51/2) above the pubic symphysis. During the first 24 hrs the level remains constant, thereafter there is steady decrease in height by 1.25cm in 24 hours so that by the end of 2nd week the uterus becomes a pelvic organ. These measurements are clinically significant to know the process of involution. If the height is more than the period of puerperium, it may be because of subinvolution.